A 36yr old lady presents with a 20 yrs duration fluctuant and translucent swelling on right side of her neck. No other history available. No other findings on examination of neck. What is the most probable diagnosis?
1. Lymph cyst
2. Lymph node
3. Colloid nodule
4. Cold abscess

Correct answer: 1. Lymph cyst

Explanation: The only swelling of the 4 options which will show translucency is Lymph cyst.Lymph node - no fluctuationColloid nodule - no fluctuationCold abscess - 20-year history unlikely